Spontaneous pneumothorax is seen ina) Smokersb) Male sexc) Exercised) Short stature
1. ac
2. a
3. ad
4. ab

Correct answer: 4. ab